Mutations in COL 4A5 gene manifests as -
1. Alport's syndrome
2. HNPCC
3. Good pasture
4. Vitiligo

Correct answer: 1. Alport's syndrome

Explanation: Ans. is 'a' i.e., Alport's syndrome o Manifestations of Alport's syndrome are due to abnormal a} (COL4A3), OC4 (COL4A4), or a. (COL4A5).o This is due to mutations of:i) COL4 A5 in classic X-linked formii) COL4A3 or COL4A4 in autosomal forms.